NADPH is used in
1. Fatty acid synthesis
2. Ketone synthesis
3. Glucogenesis
4. Glycolysis

Correct answer: 1. Fatty acid synthesis

Explanation: FATTY ACID SYNTHESIS Materials Required for the SynthesisEnzymes-Fatty acid synthase, a multienzyme complex-Acetyl-CoA carboxylase, also a multienzyme complexCoenzymes and cofactors: Biotin, NADPH, Mn++CO2: Source of CO2 is bicarbonateATP: For energyFirst reaction (reduction): The keto-acyl group is reduced to hydroxy group (-OH) to form "b-OH butyryl-ACP" catalyzed by the enzyme "keto-acyl reductase". Second reaction (dehydration): A molecule of H2O is removed from "b-OH-butyryl-ACP" to form "a, bunsaturated butyryl-ACP" (also called crotonyl-ACP), catalyzed by the enzyme "b-OH-acyl dehydratase". Third reaction (reduction): The third and final reduction is catalyzed by "enoyl-reductase" using NADPH + H+, as a result, the double bond is saturated to form "butyryl-ACP" (4 carbon). All the above three reactions occur on "Pan-SH" of monomer II.Ref: MN Chatterjea Textbook of Medical Biochemistry, 8th Edition, Page no: 417